Most effective approach for prevention of non communicable diseases
1. Primary prevention
2. Specific protection
3. Primordial prevention
4. Secondary prevention

Correct answer: 3. Primordial prevention

Explanation: Primordial prevention Primordial prevention, a new concept, is receiving special attention in the prevention of chronic diseases. This is primary prevention in its purest sense, that is, prevention of the emergence or development of risk factors in countries or population groups in which they have not yet appeared. For example, many adult health problems (e.g., obesity, hypertension) have their early origins in childhood, because this is the time when lifestyles are formed (for example, smoking, eating patterns, physical exercise). In primordial prevention, efforts are directed towards discouraging children from adopting harmful lifestyles. The main intervention in primordial prevention is through individual and mass education. Ref: Park 23rd edition Pgno : 41